The following drug is a selective blocker (antagonist) of  M1 muscarinic receptors:
1. Methacholine
2. Bethanechol
3. Methoctramine
4. Pirenzepine

Correct answer: 4. Pirenzepine